Lucid interval is classically seen in:
1. Intracerebral hematoma
2. Acute subdural hematoma
3. Chronic subdural hematoma
4. Extradural hematoma

Correct answer: 4. Extradural hematoma

Explanation: Ans. Extradural hematoma